A young man gets into a fight after taking bear and is kicked in the lower abdomen. There was pelvic fracture, blood at meatus. Most likely cause is
1. Rupture of membranous urethra
2. Bulbar urethral injury
3. Bladder rupture
4. Kidney laceration

Correct answer: 1. Rupture of membranous urethra

Explanation: Ans. is 'a' i.e., Rupture of membranous urethra